Which of the following combinations of biologically active molecules does vitamin A consists of
1. Retinol, retinal and retinoic acid
2. Retinol, retinal and tetrahydrofolate
3. Retinal, conjugase and retinoic acid
4. PABA, retinal and retinaldehyde

Correct answer: 1. Retinol, retinal and retinoic acid

Explanation: A i.e. Retinol, Retinal, and Retinoic acid